The base sequence of the strand of DNA used as a template has the sequence 5'GATCTAC 3'. What would be the base sequence of RNA product?
1. 5'CTAGATG 3'
2. 5'GAUCUAC3'
3. 5'GTAGATC3'
4. 5'GUAGAUC3'

Correct answer: 4. 5'GUAGAUC3'

Explanation: Ans. D. 5'GUAGAUC3'Read the strand in 3' to 5' direction. Write the complementary sequence in 5' to 3' direction obeying base pairing rule, except in the case of T replaced by U.